Fatal dose of Pottasium cyanide is:
1. 5 mg
2. 10 mg C
3. 20 mg D.
4. 200 mg

Correct answer: 4. 200 mg

Explanation: 200 mg